Supraventicular tachycardia can be managed best by:
1. Digitalis
2. Adenosine
3. Disopyramide
4. Quinidine

Correct answer: 2. Adenosine

Explanation: Ans. B: Adenosine Although adenosine is a powerful vasodilator, especially in the coronary circulation, it is not used clinically as a vasodilator. The reason is that it is very short acting and in the heart it can produce coronary vascular steal. When administered by intravenous infusion, it can produce substantial hypotension. Adenosine is used, however, as an antiarrhythmic drug for the rapid treatment of supraventricular tachycardias. Its effects on atrioventricular conduction make it very useful in treating paroxysmal supraventricular tachycardia in which the AV node is part of the reentry pathway (as in Wolff-Parkinson-White Syndrome. Adenosine is administered either as bolus intravenous injection or as an intravenous infusion.